Most common type of carcinoma lung is -
1. Small cell carcinoma
2. Adenocarcinoma
3. Squamous cell carcinoma
4. Large cell carcinoma

Correct answer: 2. Adenocarcinoma

Explanation: Adenocarcinoma of the lung is the most frequent histological type. - Sabiston
Lung Carcinoma

Carcinoma of the lung is the most common neoplasm of lung, i.e. cancer arising from the epithelial cells.
Lung cancer is the most common cause of cancer-related death.
Occurs most often between ages 40 and 70 years.
The major histological types of lung carcinoma are -



Adenocarcinoma (including bronchoalveolar type) → Most common lung cancer worldwide.


Squamous cell carcinoma → Most common lung cancer in India.


Small cell carcinoma (Oat cell carcinoma).


Large cell carcinoma


These tumors can be divided broadly into two groups -
A. Small cell carcinoma
B. Non-small cell carcinoma → Squamous cell carcinoma, adenocarcinoma, Large cell carcinoma.